The most appropriate drug for the treatment of bulimia nervosa is -
1. Amitriptyline
2. Lithium
3. Fluoxetine
4. Sertraline

Correct answer: 3. Fluoxetine

Explanation: selective serotonin reuptake inhibitors are recommend by US food & drug administration ( Harrison 20th ed pg 477)